McNaughton rule is:
1. Sec 84 CrPC
2. Sec 84 IPC
3. Sec 85 CrPC
4. Sec 85 IPC

Correct answer: 2. Sec 84 IPC

Explanation: Ref. Textbook of forensic medicine. Krishnan Vij. Page.  120